The most common site for ligamentous injuries are those of the
1. Shoulder joint
2. Elbow
3. Knee joint
4. Ankle joint

Correct answer: 4. Ankle joint

Explanation: D i.e. Ankle